Most common type of intussusception
1. Colocolic
2. Ileoileal
3. Ileocolic
4. None of the above

Correct answer: 3. Ileocolic